Nitrates are not used in?
1. CHF
2. Cyanide poisioning
3. renal colic
4. Esophageal spasm

Correct answer: 3. renal colic

Explanation: C; renal colic